The proteins presents in Deoxyribonucleic acid is
1. Protamines
2. Histone
3. Albumins
4. Globulins

Correct answer: 2. Histone

Explanation: (Histone) (225 - RS 7th)DNA is a polymer of deoxyribonucleotides and is found in chromosomes, mitochondria, and chloroplasts. The nuclear DNA is bound to basic proteins called HistonesHistones - These are basic proteins rich in Arginine & Histidine